All are true about spinal tuberculosis except ?
1. Back pain earliest symptom
2. Dorsolumbar spine commonest site
3. Exaggerated lumbar lordosis
4. Secondary to lung infection

Correct answer: 3. Exaggerated lumbar lordosis

Explanation: Ans. is 'c' i.e., Exaggerated lumbar lordosis Tuberculosis of spine (Pott's spine) The spine is the commonest site of bone and joint tuberculosis. The most common site is Dorsolumbar region. Lower dorsal (thoracic) region is the most common segment involved followed by lumbar segment. The tuberculosis of spine is also called pott's disease or tubercular spondylytis. Spinal tuberculosis is always secondary, the primary foci being either in the lungs, lymph nodes or gastrointestinal tract. Clinical features of TB of spine The disease is commonest in young adults. The presenting complains are : - Back pain : Commonest and earliest symptom. Initially pain occurs on sudden movement of spine. Stiffness of back : Is also an early symptom and occur along with pain. Visible deformity Gibbus or Kyphosis Localized swelling : Due to cold abscess Paraplagia : In neglected cases Constitutional symptoms : Evening fever, loss of appetite, night sweat, loss of weight. on examination, following findings may be seen : ? Decreased range of motion. Local tenderness : Over the spinous process of affected vertebra. Deformity : - Cervical spine : - Straight neck with loss of cervical lordosis. Thoracic : - Gibbus/kyphosis Lumbar : - Loss of lumbar lordosis iv) Para-vertebral swelling : - Cold abscess